Elevators of eye:
1. SR and 10
2. I0 and SO
3. IR and S
4. SO SR

Correct answer: 1. SR and 10

Explanation: Ans. SR and 10